Young person with self mutilating behaviour and impulsivity is suffering from?
1. Dependent personality disorder
2. Borderline personality disorder
3. Adjustment disorder
4. Paranoid personality disorder

Correct answer: 2. Borderline personality disorder

Explanation: ANSWER: (B) Borderline personality disorderREF: Kaplan and sadocks 10th edition page 800DSM-IV- Diagnostic Criteria for Borderline Personality DisorderA pervasive pattern of instability of interpersonal relationships, self-image, and affects, and marked impulsivity beginning by early adulthood and present in a variety of contexts, as indicated by five (or more) of the following;1. Frantic efforts to avoid real or imagined abandonment. Note: Do not include suicidal or self-mutilating behavior covered in Criterion 5.2. a pattern of unstable and intense interpersonal relationships characterized by alternating between extremes of idealization and devaluation3. identity disturbance: markedly and persistendy unstable self-image or sense of self4. Impulsivity in at least two areas that are potentially self-damaging (e.g., spending, sex, substance abuse, reckless driving, binge eating). Note: Do not include suicidal or self-mutilating behavior covered in Criterion 5.5. recurrent suicidal behavior, gestures, or threats, or self-mutilating behavior6. affective instability due to a marked reactivity of mood (e.g., intense episodic dysphoria, irritability, or anxiety usually lasting a few hours and only hours and only rarely more than a few days)7. chronic feelings of emptiness8. inappropriate, intense anger or difficulty controlling anger (e.g., frequent displays of temper, constant anger, recurrent physical fights)9. transient, stress-related paranoid ideation or severe dissociative symptoms